What is not seen in Undescended Testis -
1. Hydrocele
2. Hernia
3. Teratoma
4. Seminoma

Correct answer: 1. Hydrocele